Shelf life is maximum for
1. Whole blood
2. FFP
3. PRBC
4. Platelet concentrate

Correct answer: 2. FFP

Explanation: Frozen Plasma - The shelf life is 1 year from the date of collection. Thawed Plasma - The shelf life of thawed plasma is either 24 hours or 5 days, depending on the plasma product.